"Wire loop" lesions in glomeruli are characteristic of:
1. SLE
2. Amyloidosis
3. IgA nephropathy
4. Nephrotic

Correct answer: 1. SLE

Explanation: SLE